What should be measured in a newborn who presents with hyperbilirubinemia –
1. Total & Direct bilirubin
2. Total bilirubin only
3. Direct bilirubin only
4. Conjugated bilinibin only

Correct answer: 1. Total & Direct bilirubin

Explanation: Bilirubin is a tetrapyrrole and a breakdown product of heme catabolism.
Most bilirubin (70%-90%) is derived from hemoglobin degradation and, to a lesser extent, from other hemoproteins. In the serum, bilirubin is usually measured as both direct bilirubin (DBil) and total-value bilirubin
Direct bilirubin correlates with conjugated bilirubin but tends to overestimate actual conjugated bilirubin, as it includes both the conjugated bilirubin and bilirubin covalently bound to albumin (delta-bilirubin).
Indirect bilirubin correlates with unconjugated bilirubin but tends to underestimate unconjugated bilirubin, as a